Which of the following best differentiates antrochoanal polyp from ethmoidal polyp?
1. They are multiple
2. Best seen on posterior rhinoscopy
3. Recurrence on polypectomy
4. They are bilateral

Correct answer: 2. Best seen on posterior rhinoscopy

Explanation: (b) Best seen on posterior rhinoscopy(Ref. Scott Brown, 6th ed., 4/10/14)EthmoidalAntrochoanalMainly allergic etiologyInfectiveCommonUncommonMiddle ageYoungMultipleSingleBilateralUnilateralSeen on anterior rhinoscopyPosterior rhinoscopySteroids and antihistaminics are used in t/tNo roleHighly recurrentRecurrence is uncommon